Reticulocytes are stained with:
1. Methyl violet
2. Brilliant Cresyl blue
3. Sudan black
4. Indigo carmine

Correct answer: 2. Brilliant Cresyl blue

Explanation: - Reticulocytes are stained in living state in vitro so it is called as supravital staining. - Dyes like brilliant cresyl blue and new methylene blue (Best stain) are used normally